ST elevation and hyperacute T waves in precordeal leads VI to V6 and in lead aVL indicates:
1. Anterolateral wall MI
2. Posterior wall MI
3. Inferior MI
4. Lateral wall MI

Correct answer: 1. Anterolateral wall MI

Explanation: Answer is A (Anterolateral wall MI) Acute transmural Anterolateral wall ischaemia is associated with changes in one or more of the precordial leads (V1 through V6)and in leads I and aVL